Which of the following signs is not associated with glomus tumour?
1. Rising sun appearance
2. Aquino's sign
3. Brown's sign
4. Griesinger's sign

Correct answer: 4. Griesinger's sign

Explanation: Griesinger's sign is oedema over the mastoid due to thrombosis of mastoid emissary vein. It is seen in lateral sinus thrombosis.Other three are features of glomus tumour when it arises from dome of jugular bulb (glomus jugulare). It produces red Hush in the lower part of tympanic membrane resembling a "rising sun".Brown's sign is elicited with pneumatic otoscope when pressure is raised in the ear canal, tumour pulsates vigorously and when pressure is further raised pulsations stop altogether and tumour blanches. Reverse occurs on decreasing the pressure. It is also called "pulsation sign".Aquino's sign is blanching of tumour on compression of ipsilateral carotid.